All are true about Paget disease of breast except:
1. 1% associated with underlying invasive carcinoma of breast
2. Hormone receptor negative
3. Poor prognosis
4. Wedge or punch is biopsy taken from nipple for diagnosis

Correct answer: 1. 1% associated with underlying invasive carcinoma of breast

Explanation: Ans. (a) 1% associated with underlying invasive carcinoma of breast(Ref. Bailey and Love 26th edition Page 810)* 97% have underlying Ductal Carcinoma